Which of the following is NOT true regarding gastroschisis and omphalocele?
1. Intestinal obstruction is common in gastroschisis
2. Gastroschisis is associated with multiple anomalies
3. Umbilical cord is attached in normal position in gastroschisis
4. Liver is the content of omphalocele

Correct answer: 2. Gastroschisis is associated with multiple anomalies

Explanation: Gastroschisis is a congenital anomaly characterized by a defect in the anterior abdominal wall through which the intestinal contents freely protrude. Unlike in infants born with omphalocele, in infants with gastroschisis the associated anomalies consist mostly of intestinal atresia. Ref: Hackam D.J., Grikscheit T.C., Wang K.S., Newman K.D., Ford H.R. (2010). Chapter 39. Pediatric Surgery. In F.C. Brunicardi, D.K. Andersen, T.R. Billiar, D.L. Dunn, J.G. Hunter, J.B. Matthews, R.E. Pollock (Eds), Schwartz's Principles of Surgery, 9e.